In cirrhotic ascites, which diuretic is preferred?
1. Furosemide
2. Acetazolamide
3. Spironolactone
4. Any of the above

Correct answer: 3. Spironolactone

Explanation: uses of Spironolactone: Cirrhosis edema Aldosterone levels are generally high in cirrhosis. spironolactone is an antagonist for aldosterone. Thus it is particularly employed in refractory edema caused due to ascites or cirrhoses 2. To counteract K+ loss due to thiazide and loop diuretics. 3. Hypertension: Used only as an adjuvant to thiazide to prevent hypokalaemia; has weak antihypertensive action of its own. 4. CHF: As additional drug to conventional therapy in moderate to severe CHF; can retard disease progression and lower mortality ( Essentials of Medical Pharmacology, K.D Tripathi,6 th edition, page 570 )